All these drugs EXCEPT one cross the blood–brain barrier:
1. Morphine
2. Dopamine
3. Propranolol
4. Ether

Correct answer: 2. Dopamine